In an aphakic eye posterior focal point from the back of cornea is about:
1. 23 mm
2. 25 mm
3. 31 mm
4. 21 mm

Correct answer: 3. 31 mm

Explanation: Ans. 31 mm